Most common site of lymphoma of GIT is?
1. Stomach
2. Duodenum
3. Ileum
4. Colon

Correct answer: 1. Stomach

Explanation: Ans. (a) StomachRef-.Advances in Oncology, Vol. 3/137The most common extra-nodal site of lymphoma is GIT with the most common site being the stomach followed by small intestine and ileo-caecal region.